What is the value of waist hip ratio (WHR) indicating abdominal fat accumulation in man?
1. >1
2. >1.1
3. >1.2
4. >1.3

Correct answer: 1. >1

Explanation: WHR >1 in men and >0.8 in women indicate abdominal fat accumulation. Ref: Park 21st edition, page 369.